Tubular (Canalicular) adenoma occurs on:
1. Upper lip
2. Palate
3. Lower Lip
4. Gingiva

Correct answer: 1. Upper lip